Bad trip is associated with:
1. LSD
2. Cocaine
3. Cannabis
4. Morphine

Correct answer: 1. LSD

Explanation: Ans: a (LSD) Ref: Reddy, 27th ed, p. 526Bad trip is associated with LSD.LSD-Bad trip.Flashback phenomenon.Dhatura - Street poison.Abrus precatorius - Cattle poison (Sui picking)Cocaine -Magnan symptoms - crawling bugs.Phencyclidine (Angel's dust) - dissociative anaesthesia.Amphetamine - Induced psychosis.Cannabis -Run amok.Amotivational syndrome.